Bryce's sign is seen in
1. Laryngocele
2. Post cricoid carcinoma
3. Angiofibroma
4. Chronic tonsillitis

Correct answer: 1. Laryngocele

Explanation: Bryce's sign: It is seen in laryngocele. When the swelling is pressed, a gurgling sound is produced. Ref: Textbook of diseases of ENT, PL Dhingra, 7th edition, pg no. 507